Upper limb deformity in Erb's palsy -
1. Adduction and lateral rotation of arm
2. Adduction and medial rotation of arm
3. Abduction and lateral rotation of arm
4. Abduction and medial rotation of arm

Correct answer: 2. Adduction and medial rotation of arm

Explanation: Ans. is 'b' i.e., Adduction and medial rotation of arm Clinical features of Erb's palsy A) Muscles paralyzed: Mainly biceps brachii, deltoid, brachialis and brachioradialis. Partly supraspinatus, infraspinatus and supinator. B) Deformity (position of the limb) i) Arm : Hangs by the side; it is adducted and medially rotated. ii) Forearm : Extended and pronated. The deformity is known as 'policeman's tip hand' or 'porter's tip hand'. C) Disability: The following movements are lost. o Abduction and lateral rotation of the arm (shoulder). o Flexion and supination of the forearm. o Biceps and supinator jerks are lost. o Sensations are lost over a small area over the lower part of the deltoid.